The following virus can be grown only in suckling mice-
1. Coxsackie virus
2. Rhinovirus
3. Echovirus
4. Poliovirus

Correct answer: 1. Coxsackie virus

Explanation: Ans. is 'a' i.e., Coxsackie virus . It is necessary to employ suckling mice for the isolation of coxsackie viruses. . Inoculation is usually made by intracerebral, subcutaneous and intraperitoneal route. . Adult mice are not susceptible.